Water reabsorption in loop of henle is?
1. Through aquaporin-1 in distending limb
2. Through aquaporin-1 in ascending limb
3. Due to ADH in ascending limb
4. Due to aquaporin-2 in ascending limb

Correct answer: 1. Through aquaporin-1 in distending limb

Explanation: Ans. is 'a' i.e., Through aquaporin-l in descending limb fRef: Principles of medical physiology p. 3I2l"Ascending limb of loop of Henle (especially thick ascending limb) is ako called the diluting segment of nephron because of its ability to dilute the urine,'Thin descending segment (limb):This segment is highly permeable to water and relatively impermeable to solutes (sodium, chloride and urea).Therefore, only water is reabsorbed from the thin descending limb of loop of Henle and the fluid in the descending limb becomes hypotonic.This water absorption is also obligatory and occurs through aquaporin-l water channel.No active secretion or reabsorption takes place in this segment.